Safe size of corneal graft with less chances of failure is -
1. 7.5 mm
2. 5.5 mm
3. 6.5 mm
4. 4.5 mm

Correct answer: 1. 7.5 mm

Explanation: With the help of a corneal trephine (7.5 mm to 8 mm in size)a partial thickness incision is made in the hostcornea . Then, anterior chamber isentered with the help of a razor blade knife andexcision is completed using corneo-scleral scissors. REF:Comprehensive ophthalmology,AK Khurana,4th edition,pg no.125.